Hypophophatemia is seen in:
1. Pseudohypoparathyroidism
2. CRF
3. Rickets
4. Respiratory acidosis

Correct answer: 3. Rickets

Explanation: Answer is C (Ricket's) Hypophosphatemia may be seen in X-linked Hypophoaphatemic Rickets and in Hyperparathyroidism. Causes of Hypophosphatemia: I. Reduced renal tubular phosphate reabsorption A. PTH/PTFIrP - dependant I. Primary hyperparathyroidism Secondary hyperparathyroidism Vitamin D deficiency/resistance Calcium starvation/malabsorption Bartter syndrome II. Autosomal recessive renal hypercalciuria with hypomagnesemia B. PTH/PTHrP independent 1. Genetic hypophosphatemia X-linked hypophophatemic rickets Dent disease Autosomal dominant hypophophatemic rickets Fanconi syndrome(s) Cystinosis Wilson disease McCune-Albright syndrome (fibrous dysplasia) Idiopathic hypercalciuria (absorptive subtype) Hereditary hypophosphatemia with hypercalciuria (Bedouins) 2. Tumor-induced osteomalacia D. Impaired intestinal phosphate absorption Aluminium-containing antacids Sevalamer 3. Other systemic disorders Poorly controlled diabetes mellitus Alcoholism Hyperaldosteronism Hypomagnesemia Amyloidosis Hemolytic uremic syndrome Renal transplantation or partial liver resection Rewarming or induced hyperthermia 4. Drugs or toxins Ethanol Acetazolamide, other diuretics High-dose estrogens or glucocorticoids Heavy metals (lead, cadmium) Toluene, N-methyl formamide Cisplatin, ifosfamide, foscarnet, rapamycin Calcitonin, pamidronate III. Shifts of extracellular phosphate into cells Intravenous glucose Insulin therapy of prolonged hyperglycemia or diabetic ketoacidosis Catecholamines (epinephrine, dopamine, albuterol) Acute respiratory alkalosis Gram negative sepsis, toxic shock syndrome Recovery from starvation or acidosis Rapid cellular proliferation Leukemic blast crisis Intensive erythropoietin, other CSF therapy IV. Accelerated net bone formation Following parathyroidectomy Treatment of Vitamin D deficiency, Paget disease Osteoblstic metastases